The period of mixed dentition is between the age of:
1. 2-9 years
2. 6-11 years
3. 12-14 years
4. 16 years

Correct answer: 2. 6-11 years

Explanation: Ans. 6-11 years